All are actions of CCK except
1. Relax lower esophageal sphinctor
2. Increased pancreatic secretion
3. Increased gastric secretion
4. Causes GB contraction

Correct answer: 3. Increased gastric secretion

Explanation: Actions of CCK
-        Stimulates pancreatic enzymes secretion.
-        Stimulates enterokinase secretion.
-        Stimulates insulin secretion.
-        Stimulates glucagon secretion.
-        Potentiates Secretin
-        Increases pyloric sphincter tone.
-        Inhibits gastric emptying
-        Stimulates gall bladder contraction
-        Stimulates small intestinal and colonic motility
-        Relaxes lower esophageal sphincter
-        Trophic effect on the pancreas